Gamma Rays are used in?
1. CT scan
2. DEXA Scan
3. Fluoroscopy
4. PET Scan

Correct answer: 4. PET Scan

Explanation: *PET Scan uses Gamma Rays. *Gamma Rays are used in SCINTIGRAPHY STUDIES(Tc99m radioisotope studies),SPECT(Single Photon Emission Computerised Tomography) studies and PET scan (Positron Emission Tomography), Bone scan (Tc99m-MDP studies) *All other investigations given in the options use X rays.